Edwards syndrome is
1. Trisomy 21
2. Trisomy 18
3. Trisomy l3
4. 5P

Correct answer: 2. Trisomy 18

Explanation: TRISOMY 18: EDWARDS SYNDROME Characterised by Prominent occiput Intellectual disability Micrognathia Short neck Overlapping fingers Congenital heart defects Renal malformations Limited hip abduction Low set ears (Robbins Basic Pathology,9th edition,pg no. 238)